Shortest acting skeletal muscle relaxant is?
1. Suxamethonium
2. Pancuronium
3. Mivacurium
4. Vecuronium

Correct answer: 1. Suxamethonium

Explanation: Ans. is 'a' i.e., Suxamethonium Suxamethonium (succinylcholine) is the shortest acting skeletal muscle relaxant. Mivacurium is the shortest acting nondepolarizing skeletal muscle relaxant.